Which is the screening test for evaluation of mineralocorticoid excess?
1. Saline infusion test
2. Salt loading test
3. Cosyntropin test
4. Aldosterone renin ratio

Correct answer: 4. Aldosterone renin ratio

Explanation: The accepted screening test for mineralocorticoid excess is aldosterone renin ratio. Since the leading cause is Adrenal Adenoma, the autonomous aldosterone values will rise and renin values will be low due to feedback. ARR screening is positive if ratio is > 750pmol/L per ng/ml. Spironolactone should be discontinued for at-least 4 weeks before performing this test for obvious reasons. This is followed by performance of investigation of choice for mineralocorticoid excess which is Saline infusion test.